Pyridoxine is used in treatment of ?
1. Galactosemia
2. Phenylketonuria
3. Propionic acidemia
4. Homocystinuria

Correct answer: 4. Homocystinuria

Explanation: Ans. is 'd' i.e., Homocystinuria Inborn error of metabolism and Treatment Alkaptonuria Vitamin C, Folic acid Homocystinuria Pyridoxine + Folic acid Cystinuria Alkalization of urine + d-Penicillamine, Captopril Hartnup disease Nicotinamide Multiple carboxylase eficiency Biotin Methyl malonic academia Vitamin B 12 Hyperoxaluria Pyridoxine Tyrosinemia NTBC, Liver Transplantation